In calculating crude birth rate which of the following is used as denominator
1. Women in 15-49 yrs age group
2. All persons in 15-49 yrs age group
3. Mid year population
4. All live births

Correct answer: 3. Mid year population

Explanation: Birth rate = Number of live births during the year X 1000 / Estimated mid year population Unsatisfactory measure of fertility because the total population is not exposed to child bearing Reference : Park's textbook of preventive and social medicine, 23rd edition, pg no: 488